The slender rhabditiform larvae of which of the following helminths move about in water and are ingested by species of cyclops -
1. D. latum
2. D. medinensis
3. W.bancrofti
4. S. mansoni

Correct answer: 2. D. medinensis